Volatile inhalational anesthetic contributes in all of the following component of general anesthesia except
1. Loss of consciousness
2. Loss of reflex
3. Analgesia
4. Muscle relaxation

Correct answer: 3. Analgesia

Explanation: volatile inhalational anesthetic agent contributes in all the component of G.A except - analgesia. they can produce - loss of conciouness loss of reflex response Amnesia Muscle Relaxation